Hoffa fracture is _____:
1. Stellate patella fracture
2. Metaphyseo-diaphyseal dissociation of the proximal tibia
3. Medial collateral ligament avulsion from the femur
4. Coronal fracture of the posterior part of the femoral condyles

Correct answer: 4. Coronal fracture of the posterior part of the femoral condyles

Explanation: Ans. D. Coronal fracture of the posterior part of the femoral condylesCoronal fractures of the posterior condyle (AO type B3) are called Hoffa fractures.Hoffa fragments are more commonly unicondylar and usually originate from the lateral femoral condyle. They can be occasionally bicondylar.Note: Hoffa's syndrome is the affection of the infra-patellar fat pad due to direct trauma to the anterior knee.